Entero enteric fistula is found in all except:
1. Crohn's disease
2. Colo-rectal malignancy
3. Actinomycosis
4. Ulcerative colitis

Correct answer: 4. Ulcerative colitis

Explanation: Ans. D: Ulcerative colitis The principal causes of entero-enteric fistula in order of frequency are: Crohn's disease Diverticular disease Colo-rectal malignancy Radiation enteritis Tuberculosis Actinomycosis Complications of severe ulcerative colitis: Fulminating colitis Toxic dilatation (megacolon) Perforation Severe hemorrhage Cancer Extra-ailmentary manifestations-skin lesions, eye problems, liver disease, Sclerosing cholangitis is amongst the extraintestinal manifestation of ulcerative colitis.